WHICH SYNDROME IS MC ASSOCIATED WITH CYSTIC HYGROMA IN 1ST TRIMESTER USG
1. Trisomy 21
2. Trisomy 18
3. Trisomy 13
4. Turner syndrome

Correct answer: 1. Trisomy 21

Explanation: When Cystic hygromas are diagnosed in the first trimester , Trisomy 21 is most common aneuploidy followed by Turner's syndrome and Trisomy 18